Cyst coming from an unerupted permanent tooth is
1. Dentigerous cyst
2. Epulis
3. Odontogenic keratocyst
4. None of the above

Correct answer: 1. Dentigerous cyst

Explanation: Dentigerous cyst is most commonly arises from lower third molar teeth.